Spongiosis is seen in:
1. Acute eczema
2. Lichen planus
3. Psoriasis
4. Pemphigus

Correct answer: 1. Acute eczema

Explanation: ECZEMA - Reaction pattern of inflammatory response of skin characterized clinically in Acute stage- Spongiosis( oozing out lesions) erythema vesiculation Chronic stages - Acanthosis (lichenified lesions) Histopathological features of eczema - Epidermis: 1 Acute phase spongiosis i.e. intercellular edema. 2 Subacute phase Parakeratotic stratum corneum. Acanthotic process starts. Rete ridges broaden and get elongated. 3 Chronic phase Rete ridges broaden and elongate further. Hyperkeratosis replaces parakeratosis. Dermis: Vasodilatation in the papillary dermis accompanied by lympho-histiocytic infiltrate. Polymorphs and Eosinophils are seen in Acute eczema .